All the following are manifestations of Felty's syndrome except:
1. RA
2. Splenomegaly
3. Thrombocytopenia
4. Neutropenia

Correct answer: 3. Thrombocytopenia

Explanation: Ans. C. ThrombocytopeniaFelty's syndrome is defined by the clinical triad of neutropenia, splenomegaly, and nodular RA and is seen in less than 1% of patients.